Water sample which is likely to contain chlorine, will affect the results of bacteriological analysis of water. Which one of the following, if added in small amount in the test tube will help overcome it –
1. Potassium nitrate
2. Copper sulphate
3. Calcium hydrochloride
4. Sodium thiosulphate

Correct answer: 4. Sodium thiosulphate